An adult presents with oval scaly hypopigmented macules over chest and back. The diagnosis is
1. Leprosy
2. Lupus Vulgaris
3. Pityriasis Versicolour
4. Lichen Planus

Correct answer: 3. Pityriasis Versicolour

Explanation: C i.e. Pityriasis versicolor